All of the following statements about lignocaine are true except
1. It blocks active sodium channels with more affinity than resulting sodium channels
2. It can cause cardiotoxicity
3. It is given orally for treatment of cardiac arrthymias
4. Adrenaline increases the duration of action of lignocaine when used for infiltration anesthesia

Correct answer: 3. It is given orally for treatment of cardiac arrthymias

Explanation: All local anesthetics are weak bases.These drugs act by penetrating the axonal membrane and blocking the voltage gated sodium channels within Vasoconstrictors like adrenaline can prolong the duration of action. All LA can cause cardiotoxicity and neurotoxicity